Translucency of Permanent dentition is
1. More than Primary dentition
2. Less than primary dentition
3. Equal in both
4. Can be more or less

Correct answer: 1. More than Primary dentition

Explanation: Primary dentition: It is less translucent than permanent dentition. As mineral content is increased tooth structure becomes more homogeneous and more translucent.